The features of uterine contraction in spastic lower segment are all except
1. Presence of fundal dominance
2. There may be reversed polarity
3. Inadequate relaxation in between contractions
4. Basal tonus is usually raised above the critical level of 20 mm Hg

Correct answer: 1. Presence of fundal dominance

Explanation: Fundal dominance ,which indicates that the intensity is strongest ath the fundus,(not at the lower segment) with a gradual decrease downwards. Refer page no 109 of Text book of obstetrics ,sheila balakrishnan,2 nd edition.